Which of the following property of the drug will enable it to be used in low concentration?
1. High affinity
2. High specificity
3. Low specificity
4. High stability

Correct answer: 1. High affinity

Explanation: Affinity is the ability of the drug to bind with the receptor The receptor occupancy by the drug is needed to elicit a response, so drug with hyper affinity will occupy a larger number of receptor and produce more response at a given concentration than a drug with lower affinity. Ref: KD Tripathi 8th ed